Relative contraindication to thrombolytic therapy includes all the following except :
1. Hypotension
2. Recent surgery
3. Active peptic ulcer
4. Pregnancy

Correct answer: 1. Hypotension